All of the following agents may be used for post coital contraception except:
1. Danazol
2. CuT
3. RU - 486
4. High dose estrogen

Correct answer: 1. Danazol